Septum transversum gives rise to which part of diaphragm -
1. Right crus
2. Left crus
3. Central tendon
4. Peripheral costal portion

Correct answer: 3. Central tendon

Explanation: Ans. is 'c' i.e., Central tendon Development of diaphramo Diaphragm develops from 4 structures derived from mesoderm which unite to form a sheet.Septum transversum Gives origin to sternal part and central tendinous region.Pleuroperitoneal membrane Dorsal paired portion.Dorsal mesentrv of oesophagus Gives origin to crural part (Dorsal unpaired portion).Lateral body walls (from cervical myotome)Gives origin to peripheral costal portion of diaphragm.